Calorie requirement per day of a child weighing 15 kg would be –
1. 1150 kcal
2. 1250 kcal
3. 1450 kcal
4. 1550 kcal

Correct answer: 2. 1250 kcal